Which one of the following drugs is an antipeudomonal penicillin ?
1. Cephalexin
2. Cloxacillin
3. Piperacillin
4. Dicloxacillin

Correct answer: 3. Piperacillin

Explanation: Ans. is 'c' i.e., Piperacillin